Poorest prognosis in AML is seen in which cytogenetic abnormality -
1. Monosomy 7
2. No cytogenetic abnormality
3. t (15, 17)
4. inv. 16

Correct answer: 1. Monosomy 7